A neonate is found to have an imperforate anus. You recommend studies to search for other anomalies because infants with anorectal anomalies tend to have other congenital anomalies. Associated abnormalities include which of the following?
1. Abnormalities of the cervical spine
2. Hydrocephalus
3. Duodenal atresia
4. Heart disease

Correct answer: 4. Heart disease

Explanation: Congenital anorectal anomalies are frequently associated with other congenital anomalies including heart disease; esophageal atresia; abnormalities of the lumbosacral spine; double urinary collecting systems; hydronephrosis; and communication between the rectum and the urinary tract, vagina, or perineum. They occur in approximately 1 in 2000 live births. Depending on the type of anomaly (whether the rectum ends above or below the level of the levator ash complex), a variety of surgical procedures has bean devised to treat the problem. However, even when anatomic integrity is established, the prognosis for effective toilet training is poor. In 50% of cases continence is never achieved, Cervical spine thnormalities, hydrocephalus, duodenal atresia, and corneal opacities have no significant association with congenital anorectal anomalies.